The internal rotation in mentoposterior position is :
1. 3/8th of circle
2. 2/8th of circle
3. 1/8th of circle
4. 3/4th of circle

Correct answer: 1. 3/8th of circle

Explanation: 3/8th of circle